Sin of gommorrah is another name for:-
1. Anal intercourse
2. Lesbianism
3. Buccal coitus
4. Tribadism

Correct answer: 3. Buccal coitus

Explanation: Unnatural sexual offences: Buccal coitus/sin of gommorrah: oral coitus, penile buccal coitus Bestiality / Zoophilia: sex with lower animals Sodomy / Greek love / buggery: penile anal intercourse Lesbianism / sapphism / Tribadism: Female homosexuals.